A 40 year old male had multiple blisters over the trunk & Extremities. Direct immuno fluoresce studies showed linear IgG deposits along the basement membrane, which of the following is the most likely diagnosis –
1. Pemphigus vulgaris
2. Bullous pemphigoid
3. Pemphigus foliaceous
4. Dermatitis herpetiformis

Correct answer: 2. Bullous pemphigoid

Explanation: IgG deposits along basement membrane occurs only in bullous pemphigoid, amongst the given options.